One of the following structure is intact in closed head injury?
1. Scalp
2. Skull
3. Dura mater
4. Arachnoid mater

Correct answer: 3. Dura mater

Explanation: Closed head injury (non-penetrating): Damage to the brain without any fracture of the skull and/or penetration of dura; most often results from blunt trauma. Ref - Krishan Vij textbook of forensic medicine and toxicology 5e pg : 281,284